Kallu, a 22 year old male had an outing with his friends and developed fever of 38.50C, diarrhoea, and vomiting following eating chicken salad, 24 hours back. Two of his friends developed the same symptoms. The diagnosis is -
1. Salmonella enteritis
2. Bacillus cereus
3. S. aureus
4. Vibrio cholerae

Correct answer: 1. Salmonella enteritis